All are true about popliteus except -
1. Flexes the knee
2. Unlocks the knee .
3. Inserted on medial meniscus
4. Intracapsular

Correct answer: 3. Inserted on medial meniscus

Explanation: Popliteus has an intracapsular origin that arises from lateral surface of lateral condyle of femur and from outer margin of lateral meniscus of knee. It inserts onto the posterior surface of shaft of tibia above the soleal line. Nerve supply: Tibial nerve.
Action: Unlocking of knee joint by lateral rotation of femur, prior to flexion. It is also an accessory flexor of the knee joint.